Hyper acute rejection is due to:
1. Preformed antibodies
2. Cytotoxic T-lymphocyte medicated injury
3. Circulating macrophage mediate injury
4. Endothelitis caused by donor antibodies

Correct answer: 1. Preformed antibodies

Explanation: Ans. (a) Preformed antibodiesRef: Bailey 26th edition, Page 1412* Hyperacute happens in minutes to hours due to preformed antibodies.